Punishment under 304-A IPC:
1. 1 year
2. 2 years
3. 3 years
4. 4 years

Correct answer: 2. 2 years

Explanation: Ans. 2 years